All are clinical features of PID except:
1. Temp >38degC
2. WBC count of 15,000
3. ESR - 10 mm/hour
4. Tenderness on movement of cervix

Correct answer: 3. ESR - 10 mm/hour

Explanation: Ans. is c, i.e. ESR - 10mm/hourRef: Textbook of Gynae Shield Balakrislman 1st/ed, p216; Novak 15th/ed, p565* Temp >38degC (100.4degF)* WBC count >15,000 are all criteria for diagnosing PID* Tenderness on movement of cervixESR >=15mm/hr is the criteria and not ESR >=10mm/hr.